Genu recurvatum is seen in:
1. Rheumatoid arthritis
2. Poliomyelitis
3. Rickets
4. All of the above

Correct answer: 4. All of the above

Explanation: Genu Recurvatum or hyperextension of knee is seen in: Trauma R.A Rickets Poliomyelitis Charcots Congenital (Due to Intrauterine positioning) - self resolving